All of the following are true about the root of right lung except?
1. Azygous vein crosses anteriorly and superiorly
2. Vagus crosses it anteriorly
3. Phrenic nerve crosses it anteriorly
4. SVC is present anteriorly

Correct answer: 2. Vagus crosses it anteriorly

Explanation: Ans 'b'i.e., Vagus crosses it anteriorly(Ref: Snell's 7th/e p. 94; BDC 4'h/e Vol.l p. 224)Vagus nerve crosses both hila posteriorly.Azygous vein arches the hilum of right lung (azygous vein is superior to hilum)Phrenic nerve (on both sides) and SVC (on right side) are anterior.